Treatment of choice for a patient with a maxillary
complete denture with severe bilateral tuberosity undercuts is
1. Remove both tuberosity undercuts
2. Remove the tissue on only one side if possible
3. Maintain the undercuts as they help in retention
4. Use an mucostatic impression material

Correct answer: 2. Remove the tissue on only one side if possible